At low concentrations, phospholipids form:-
1. Chylomicrons
2. Micelles
3. Monolayer
4. Bilayer

Correct answer: 3. Monolayer

Explanation: Phospholipids Low concentrations form monolayer Eg: Surfactant Moderate concentrations phospholipids forms circular aggregates Eg: Micelles High concentrations forms bilayer Eg: Cell membranes (made of lipid bilayers)